Which of the following muscle is not in the pectoral region ?
1. Pectoralis major
2. Infraspinatus
3. Pectoralis minor
4. Subclavius

Correct answer: 2. Infraspinatus

Explanation: Ans. is 'b' i.e., Infraspinatus